Purtscher retinopathy is seen in patients with -
1. Complication of chronic pancreatitis
2. Occlusion of anterior retinal artery
3. Head trauma
4. Diabetes mellitus

Correct answer: 3. Head trauma

Explanation: Putscher's retinopathy is a disease where part of the eye (retina) is damaged. Usually associated with severe head injuries, it may also occur with other types of trauma, such as long bone fractures, or with several non-traumatic systemic diseases. However, the exact cause of the disease is not well understood. There are no treatments specific for Purtscher's retinopathy, and the prognosis varies. The disease can threaten vision, sometimes causing temporary or permanent blindness.